Which of the following develop first during dependence of a substance -
1. Tolerance
2. Physical dependence
3. Psychological dependence
4. Withdrawal symptoms

Correct answer: 3. Psychological dependence

Explanation: Ans. is 'c' i.e., Psychological dependence Drug dependenceo Drug dependence, as the name suggests, is a state where a person becomes dependent on a drug despite knowing the harmful effect of the drug.o This state arises from repeated, periodic or continuous administration of a drug, that results in harm to the individual.o The subject feels a desire, need or compulsion to continue using the drug and feels ill if abruptly deprived of it (withdrawl syndrome)o Drug dependency is characterized by the triad of:i) Psychological dependenceo First to appearo There is emotional distress if the drug is withdrawnii) Physical dependenceo Follows psychological dependenceo There is physical illness if the drug is withdrawn (withdrawl symptoms)iii) Toleranceo Tolerance may beSelf tolerance -To the drug on which the subject is dependentCross tolerance - To the other similar (usually) or dissimilar (sometimes) drugs.o The frequency of use of drug is usually daily and duration is inevitably greater than 2-3 weeks.